Chromaffin cells are derived from:
1. Neural crest
2. Surface ectoderm
3. Neuroectoderm
4. Endoderm

Correct answer: 1. Neural crest

Explanation: Ans. A Neural crestRef: Netter's Atlas of Neurosciences, 3rd ed. pg. 133Derivatives of neural crest (mnemonic: N.O.P.E)* Melanocytes* Schwan cells* Adrenal medulla (Chromaffin cells)* Odontoblasts* Parasympathetic ganglia of gut* Parafollicular cells of thyroid* Pia and arachnoid matters* Endocardial cushions and aortopulmonary septum in heartDerivatives of neuroectoderm:* All CNS neurons astrocytes, oligodendrocytes, ependymocytes, neurohypophysis and pineal gland.